Hallucination and illusion are disturbances in
1. Thought
2. Perception
3. Sensation
4. Mood

Correct answer: 2. Perception

Explanation: Ans. b (Perception ) (Ref. Kaplan & Sadock's Synopsis of Psychiatry, 10th ed., p. 278)Hallucination and illusion are disturbance in perception.Schizophrenia is a heterogeneous syndrome characterized by perturbations of language, perception, thinking, social activity, affect, and volition.Key Symptoms Of Depersonalization# Depersonalization: Believe that he/she is not real, "Out-of-Body Experience"# Derealization: Believe that the world is not real# Perception Distortion of the environment during episodes of Depersonalization# Jamais vu (a sense of familiar things being strange)# Deja vu (a sense of unfamiliar things being familiar)